Protein quantity is assessed by?
1. Amino acid score
2. NPU
3. PE ratio
4. None

Correct answer: 3. PE ratio

Explanation: PROTEIN QUANTITY The protein content of many Indian foods has been determined and published in food composition tables. One way of evaluating foods as source of protein is to determine what per cent of their energy value is supplied by their protein content. This is known as Protein-Energy Ratio(PE ratio or percentage). Energy from protein PE per cent = ------------------------X 100 Total energy in diet This concept is useful because in many population groups adequate diet is not consumed to meet energy needs, resulting in energy deficits.